Who is called as the Father of toxicology -
1. Paracelsus
2. Galen
3. Galton
4. Guftafson

Correct answer: 1. Paracelsus

Explanation: Ans. is 'a' i.e., Paracelsus o Paracelsus, is called as the father of toxicologyo Mathieu Orfila is thought of as the modem father of toxicology